A most common cause of erythema multiforme –
1. Herpes simplex
2. DM
3. Pityriasis rosae
4. Erysipelas

Correct answer: 1. Herpes simplex

Explanation: Most of the cases of erythema multiforme are idiopathic, but amongst the known causes, HSV is the most important cause.